Differential white blood cell counts in the laboratory are useful in the diagnoses of?
1. Anemia
2. Eosinophilia
3. Spherocytoses
4. Thrombocytopenic purpura

Correct answer: 2. Eosinophilia